Glucose-6 Phosphatase deficiency is seen in
1. Von Gierke disease
2. Tay sach disease
3. Pompe disease
4. Anderson disease

Correct answer: 1. Von Gierke disease

Explanation: NameEnzyme DeficiencyClinical FeaturesVon Gierke diseaseGlucose-6-phosphataseGlycogen accumulation in liver and renal tubule cells;hypoglycemia; lactic acidemia; ketosis; hyperlipemiaRef: Harper's Biochemistry; 30th edition; Chapter 18 Metabolism of Glycogen; Page no: 179